Which is not seen in heat stroke?
1. Rhabdomyolysis
2. Pancreatitis
3. Hypovolaemia
4. Seizures

Correct answer: 2. Pancreatitis

Explanation: Ans: b (Ppancreatitis) Ref: Davidson, 20th ed, p. 102; Harrison, 16th ed, p. 105; 17th ed, p. 118All the others are well known complications of heat stroke; pancreatitis is the answer of exclusion.Heat strokeWhen body temperature rises >40degC, provoked by the failure of heat regulating mechanisms.Clinical featuresHeadache, nausea, vomiting, coarse tremor, confusion, loss of consciousness, seizures.Types1. Non external heat stroke2. External heat strokeContributing factors; Hypovolaemic shock, lactic acidosis. DIC, rhabdomyolysis, hepatic failure, renal failure, cerebral oedemaManagementRapid cooling with ice packsFluid replacement and intravascular monitoringTreatment of complication